Small intestine develops from
1. Foregut
2. Midgut
3. Hindgut
4. Endodermal cloaca

Correct answer: 2. Midgut

Explanation: Derivatives of midgut Duodenum Jejunum Ileum Caecum and appendix Ascending colon Right two thirds of transverse colon HUMAN EMBRYOLOGY-INDERBIR SINGH TENTH EDITION-PAGE NO:184